An alcoholic presents with chest pain due to aspiration pneumonitis. On examination there is dullness on percussion in area medial to the medial border of scapula on elevation of arm. Which part of the lung is most likely to be affected?
1. Right superior lower lobe
2. Right posterior lower lobe
3. Left superior lobe
4. Right apical lobe

Correct answer: 1. Right superior lower lobe

Explanation: Chest x-rays show consolidation in dependent pulmonary segments: in the basilar segments of the lower lobes if the patient has aspirated while upright and in either the posterior segment of the upper lobe (usually on the right side) or the superior segment of the lower lobe if the patient has aspirated while supine.